A most common complication of lateral condyle humerus fracture -
1. Malunion
2. Nonunion
3. VIC
4. Median nerve injury

Correct answer: 2. Nonunion

Explanation: Amongst the given options, nonunion is the most common complication.